Tube cast is applied for the fracture of-
1. Shoulder
2. Hip
3. Pelvis
4. Patella

Correct answer: 4. Patella

Explanation: *Cylinder cast in full extension is given for undisplaced patella fractures. PATELLA - FUNCTIONS * guide for the quadriceps or patellar tendon * . friction of the quadriceps mechanism * Acts as a bony shield for the cartilage of the femoral condyles * Improves the aesthetic appearance of the knee. SIGNS AND SYMPTOMS of a Possible Fracture * Localized pain aggravated by movement * Muscle guarding with passive movement * Decreased function of the part * Swelling, deformity, abnormal movement * Sharp, localized tenderness at the site TREATMENT: NON-SURGICAL Protection phase Modalities Rest a gentle motion, a muscle-setting exercises in pain-free positions. Casts or splints a Crutches TREATMENT: SURGICAL * Timing of surgery : If the skin around your fracture has not been broken- * may recommend waiting until any abrasions have healed before having surgery. Open fractures, however, expose the fracture site to the environment 3 urgently need to be cleansed and require immediate surgery. Ref: Maheshwari 9th/e p.142